Which amino acid plays a vital role in Neutrophil extracellular traps?
1. Arginine
2. Valine
3. Isoleucine
4. Aspartic acid

Correct answer: 1. Arginine

Explanation: Arginine amino acid is required for breakdown of histone polynucleotidyl complexes necessary for neutrophilic extra cellular trap.